True about composition of hospital waste
1. Metal 1%
2. Paper 10%
3. Glass 5%
4. Infectious waste 3%

Correct answer: 1. Metal 1%

Explanation: - the average composition of hospital wastes in India is; - 15% - 10% metals- 1% infectious wastes-1.5% -4% wastes-53.5% Reference : Park's textbook of preventive and social medicine, 23rd edition, pg no:790, table 2.